All of the following drugs can be used for intestinal ameobiasis except -
1. Metronidazole
2. Chloroquine
3. Diloxanide furoate
4. Tinidazole

Correct answer: 2. Chloroquine

Explanation: Ans. is 'b' i.e., Chloroquine